Cranial nerve most commonly involved in cranial aneurysms?
1. 3rd nerve
2. 4th nerve
3. 5th nerve
4. 6th nerve

Correct answer: 1. 3rd nerve

Explanation: ANSWER: (A) 3rd nerveREF: Harrison's 17th ed p. 1727Progressively enlarging cerebral aneurysm involves 3th, nerve completelyMost common nerve to be involved with raised intra cranial tension: 6thMost common nerve to be involved with false localising sign: 6thSaccular aneurysm is the most common type of intracranial aneurysmMost common location: anterior cerebral circulationAneurysms greater than 10 mm in diameter have a roughly 50% risk of bleeding per year